All of the following statements are false about Sprengel's deformity except :
1. Dextrocardia
2. Omovertebral bar present
3. Scapula is smaller in its horizontal diameter
4. Congenital low Scapula

Correct answer: 2. Omovertebral bar present

Explanation: Dextrocardia- not associated with Sprengel's deformity Congenital High Scapula (Sprengel's deformity) Permanent elevation of the shoulder girdle due to developmental defect Scapula is smaller in its vertical diameter and hence appears broad Omovertebral bar present Horizontal diameter appears broad C/F: Restriction of shoulder movement Associated with Klippel-Feil syndrome (most common association), congenital scoliosis, diastematomyelia, abnormalities of heart.